During the treatment of chronic myeloid leukemia, cytogenetic is least likely to occur with which one of the following modalities of treatment ?
1. Hydroxyurea
2. Imatinib mesylate
3. Interferon-alpha
4. Bone marrow transplantation

Correct answer: 1. Hydroxyurea